Double-bubble sign on abdominal X-ray is seen in :
1. Colon carcinoma
2. Duodenal atresia
3. Acute pancreatitis
4. Perforation

Correct answer: 2. Duodenal atresia

Explanation: Double bubble sign is the characteristic abdominal Xray sign associated with duodenal atresia. In this, the stomach and first part of the duodenum are the only parts of the intestine filled with gas giving the characteristic appearance. Duodenal atresia typically presents in the first hour of life. Children presents with bilious vomiting and epigastric distention within a few hours of birth. Meconium may be passed normally. It is often associated with other conditions such as esophageal atresia, intestinal atresia, cardiac and renal anomalies. Ref: Oski's Pediatric Certification and Recertification Board Review By Carmen Coombs, page 404. Sundaram S.S., Hoffenberg E.J., Kramer R.E., Sondheimer J.M., Furuta G.T. (2012). Chapter 21. Gastrointestinal Tract. In W.W. Hay, Jr., M.J. Levin, R.R. Deterding, J.J. Ross, J.M. Sondheimer (Eds), CURRENT Diagnosis & Treatment: Pediatrics, 21e.